Self etching primers
1. Simultaneously etch and prime dentin and enamel
2. Etches enamel only
3. Only bonds to enamel
4. Only removes smear layer

Correct answer: 1. Simultaneously etch and prime dentin and enamel